A 65-year-old male is having a swelling on the back of lower thigh. On investigation it was found to be a high grade liposarcoma of 5 cm in size. Best management is:
1. Amputation of limb at mid thigh
2. Wide local excision
3. Chemotherapy
4. Radiotherapy

Correct answer: 2. Wide local excision

Explanation: Ans. B. Wide local excisionExplanationLiposarcoma is one of the types of soft tissue sarcoma (STS). Liposarcoma is the most frequent STS subtype and represents 45% of all retroperitoneal sarcoma. It is composed of three histologicvarieties (listed in order of decreasing frequency):Well-differentiated and dedifferentiated liposarcoma,Pleomorphic liposarcoma, andMyxoid/round cell liposarcoma.Well differentiated and dedifferentiated liposarcomas more typically arise from the retroper- itoneum versus the extremities, whereas the inverse is true for pleomorphic and myxoid/round cell liposarcoma.Mainstay of treatment for STS is surgery.Algorithm for STS management is as follows: